False about Kawasaki disease
1. Strawberry tongue
2. Periungual desquamation
3. Self-limiting febrile illness
4. Unilateral, Suppurative cervical lymphadenopathy

Correct answer: 4. Unilateral, Suppurative cervical lymphadenopathy

Explanation: Kawasaki disease shows Unilateral, Non-suppurative cervical lymphadenopathy.